Ultra structure finding of irreversible injury
1. Ribosomal detachment from endoplasmic reticulum
2. Amorphous densities in mitochondria
3. Formation of phagolysosomes
4. Cell swelling

Correct answer: 2. Amorphous densities in mitochondria

Explanation: Amorphous densities in mitochondria Ref , Robbins 7/e p41-2 ,9/ep42